73 yrs old Ramlal has intra-abdominal sepsis. The causative organism was found to be vancomycin, gentamycin and ampicillin resistant. It grows well in presence of 6.5% NaCl and arginine. Bile esculin hydrolysis is positive. Which of the following is this organism
1. Streptococcus agalactae
2. Enterococcus fecalis
3. Streptococcus bovis
4. Streptococcus pneumonia

Correct answer: 2. Enterococcus fecalis

Explanation: Option 1, 3, 4 Bile esculin hydrolysis test: Negative: Streptococcus agalactiae, Streptococcus pneumonia Positive: Streptococcus bovis but it does not grow in presence of 6.5% NaCl, pH 9.6 Option 2 Enterococcus fecalis Grow in the presence of bile and hydrolyze esculine - bile esculin positive. Grows in presence of 6.5% NaCl, pH 9.6 which differentiate it from Group D streptococci. Resistant to penicillins, aminoglycosides and sulfonamides. Intrinsic resistance to cephalosporins and cotrimoxazole. Vancomycin resistance is also seen